Vegetations on undersurface of A.V. valves are found in
1. Acute rheumatic fever
2. Libman Sach's endocarditis
3. Non thrombotic bacterial endocarditis
4. Chronic rheumatic carditis

Correct answer: 2. Libman Sach's endocarditis

Explanation: Ref: R Alagappan - Manual of Practical Medicine 4th Edition.pg no:163 Endocarditis associated with SLE (Libman-Sachs endocarditis): The vegetations are 3-4 mm in size, composed of degenerating valve tissue; functional disability is minimal; ventricular surface of the mitral valve is commonly involved; aortic valve involvement is rare; entire valve apparatus can be involved.